Fetus most radiosensitive at?
1. 8-15 weeks
2. 10-15 weeks
3. 15-20weeks
4. >20 week

Correct answer: 1. 8-15 weeks

Explanation: Ans. (a) 8-15 weeksRef.: Radiation Injury Prevention and Mitigation in Human by Kedar N. Prasad p-62